True about pure gonadal dysgenesis is all except
1. Dysgenetic ovaries
2. Decreased height
3. Delayed puberty
4. Primary amenorrhea

Correct answer: 2. Decreased height

Explanation: Pure gonadal dysgenesis - Height of female is normal.